Precocious puberty is treated by administering -
1. LHRH
2. estosterone
3. Oestrogen
4. Gonadotrophin

Correct answer: 1. LHRH